Drug of choice in a patient with severe complicated falciparum malaria is :
1. Chloroquine
2. Quinine
3. Artesunate
4. Artemether

Correct answer: 3. Artesunate